Mrs Neena noted an abdominal mass in it. the side of her 6 mth. old child. Which showed calcification near the left kidney. what will be the cause -
1. Leukemia
2. Neuroblastoma
3. Renal cell carcinoma
4. Lymphoma

Correct answer: 2. Neuroblastoma

Explanation: Neuroblastoma is the most common solid tumor of infancy and childhood* and 3/4 of pt present with an abdominal mass.
Plain x-ray shows fine, stippled calcification in 50 percent of the cases.

More about Neuroblastoma 

Neuroblastoma is a malignant tumor of neural crest origin*, arising from the sympathetic nervous tissue from the orbit to the pelvis.
Age - It occurs chiefly in very young children median age is 2 years.
It is the most common solid tumor of infancy and most common tumor in newborn. *
MC intrabdominal tumor in children.
M.C. site is----- Adrenal medulla*
90% of pts. have increased catecholamine * secretion which can be identified by increased urinary levels of metanephrine and vanillylmandelic acid. Clinical evidence of catecholamine excess is however rare.
Excessive VIP secretion presents with Hypokalemic watery diarrhoea * syndrome.
Hematogenous metastasis occurs very early. Orbital metastasis* may present with proptosis, periorbital ecchymosis.